45-year-old female has history of slip in bathroom complaints of pain right hip, tenderness in scarpas triangle and normal X-ray. Next investigation is:
1. USG guided aspiration
2. CT
3. MRI
4. Bone scan

Correct answer: 3. MRI

Explanation: (c)This case refers to post-traumatic pain in proximal femur, scarpas triangle refers to area of femoral neck and for stress or occult fracture of neck femur where traumatic marrow edema is seen - MRI is investigation of choice.